Anti - mullerian Hormone is
1. Glycolipid secreted by granulosa cells of secondary follicle.
2. Indirectly reflects primordial follicle pool.
3. Increase progressively across menopausal transition.
4. Secreted by mullerian duct derivatives.

Correct answer: 2. Indirectly reflects primordial follicle pool.

Explanation: AMH is a Glycoprotein, declines progressively with menopause.